Yaws is caused by -
1. Treponema pallidum
2. Treponema carateum
3. Treponema refringens
4. Treponema pertenue

Correct answer: 4. Treponema pertenue